For the balance of hand cutting instrument:
1. cutting edges of the working end should be centered over the Long axis of the handle
2. The cutting edge centered on a line running at right angle to the long axis of the handle
3. It should have shorter, straighter shank
4. It should have solid handle

Correct answer: 1. cutting edges of the working end should be centered over the Long axis of the handle